α - intercalated cells are present in _________ helps in __________
1. Distal convoluted tubule, HCO3– secretion
2. Distal convoluted tubule, H+ secretion
3. Collecting duct, H+ secretion
4. Collecting duct, HCO3– secretion

Correct answer: 3. Collecting duct, H+ secretion

Explanation: Intercalated cells are present in Collecting duct
I cells are of 2 types.

Alpha : acid secretion
Beta : HCO3 secretion